IQ of Idiots -
1. 50-70
2. 25-50
3. 70-80
4. <25

Correct answer: 4. <25

Explanation: level of intelligence IQ range idiot 0-24 imbecile 25-49 moron 50-69 borderline 70-79 low normal 80-89 normal 90-109 superior 110-119 very superior 120-139 near genius 140 and above ref ;(page no;679)23rd edition of PARK's textbook of Preventive and Social medicine